A case of Non-Insulin dependent diabetes mellitus (NIDDM) with a history of diabetes for one year should have an ophthalmic examination?
1. As early as feasible
2. After 5 years
3. After 10 years
4. Only after visual symptoms develop

Correct answer: 1. As early as feasible

Explanation: A i.e. As early as feasible